A female child presents with hypertension, hyperpigmentation and virilization, she is most likely to be suffering from deficiency of?
1. 11 beta hydroxylase deficiency
2. 21 alpha hydroxylase
3. 17 alpha hydroxylase
4. 3 beta hydroxylase

Correct answer: 1. 11 beta hydroxylase deficiency

Explanation: 11 beta hydroxylase deficiency REF: Nelson's 18th ed p. 2366 See APPENDIX-58 for details of "Congenital adrenal hyperplasia"